Which of the following is not associated with thymoma:
1. Red cell aplasia
2. Myasthenia gravis
3. Hypergammaglobulinemia
4. Compression of the superior mediastinum

Correct answer: 3. Hypergammaglobulinemia

Explanation: Thymoma associated autoimmune diseases are: ? Myasthenia gravis ? Phemphigus ? Systemic lupus erythematosus ? Pure red cell aplasia ? Hypogammaglobulinemia Ref: Illustrated Dictionary of Immunology By M.P. Arora, Pages 257-258 ; Cancer and Autoimmunity By Yehuda Shoenfeld, M. Eric Gershwin, Page 249 ; Harrison's Principle of Internal Medicine, 16th Edition, Page 1946